Left cardiac border bulge can be seen in all, except –
1. Enlarged azygous vein
2. Left appendicular overgrowth
3. Coronary artery aneurysm
4. Pericardial defect

Correct answer: 1. Enlarged azygous vein

Explanation: Left cardiac border is slightly concave. Bulging (convexity) of left heart border is produced by : (1) Left atrial appendage enlargement; (2) Left ventricular enlargement; (3) Right ventricular enlargement; (4) Left anterior descending coronary artery aneurysm; (5) Left sided pericardial defect.